Roots involved in Erb's palsy are
1. Posterior primary rami of C6- C7
2. Anterior primary rani of C5-C6
3. Posterior primary rami of C8-T1
4. Posterior primary rami of C7-C8

Correct answer: 2. Anterior primary rani of C5-C6

Explanation: Erb's point: one region of the upper trunk of the brachial plexuses is called Erb's point. Six nerves meet here. Injury to the upper trunk causes Erb's paralysis. CAUSES: undue separation of the head from the shoulder, which is common in -Birth injury Fall on the shoulder During anaesthesia Nerve roots involved C5, C6, Suprascapular nerve, nerve to subclavius, anterior division, posterior division. DEFORMITY AND POSITION OF THE LIMB: ARM: Hangs by the side, it is adducted and medially rotated. FOREARM: Extended and pronated. DISABILITY: The following movements are lost Abduction and lateral rotation of the arm at the shoulder joint. flexion and supination of the forearm. Biceps and supinator jerks are lost. sensations are lost over a small area over the lower part of the deltoid. REF: BD Chaurasia 7th edition Page no: 59 Figure: 4.15, page no: 59 - BD Chaurasia- upper limb & thorax, 7 the edition